A 67-year-old hypertensive man presents with lower abdominal pain and back pain. An expansive abdominal mass is palpated lateral and superior to the umbilicus. What is the best investigation for this patient?
1. X-ray KUB
2. Ultrasound abdomen
3. Coronary angiography
4. Intravenous Pyelography

Correct answer: 2. Ultrasound abdomen

Explanation: Ans. B Ultrasound abdomenRef: CMDT 2019 pg. 492The presentation is suggestive of abdominal aortic aneurysm. The size should be evaluated by ultrasound and surgical repair is advisable if the aneurysm is greater than 5.5 cm in diameter as it can exhibit spontaneous rupture.